A patient with psoriasis was started on systemic steroids. After stopping treatment, the patient developed generalized pustules all over the body. The cause is most likely to be:
1. Drug induced reaction
2. Pustular psoriasis
3. Bacterial infections
4. Septicemia

Correct answer: 2. Pustular psoriasis

Explanation: B i.e. Pustular psoriasis